All of the following conditions are associated with pneumobilia except
1. Sphincterotomy
2. Rupture of hydatid cyst
3. Mirriz's syndrome
4. Gallstone ileus

Correct answer: 2. Rupture of hydatid cyst

Explanation: Causes of pneumobilia Previous surgery (papillotomy, choledochojejunostomy, ERCP with sphincterectomy) Gallstone ileus Emphysematous cholecystitis Choledochoduodenal or cholecystocolic fistula Tracheobiliary fistula Suppurative cholangitis Mirriz's syndrome (Due to cholecystoenteric fistula) Ref: Sabiston 20th edition Pgno :1570